Selective media for vibrio -
1. TCBS
2. Stuart
3. Skirrows
4. MYPA

Correct answer: 1. TCBS

Explanation: TCBS (Thiosulfate Citrate Bile salts Sucrose Agar) is a Selective media for Vibrio.
V. Cholerae can ferment sucrose and it produces Yellow colonies on TCBS.
Whereas V.parahemolyticus produces green colonies on TCBS